Which of the following is the most common psychiatric disorder?
1. Anxiety disorders
2. Schizophrenia
3. Depression
4. Mania

Correct answer: 1. Anxiety disorders

Explanation: As a group anxiety disorders are the most common psychiatric disorders, followed by mood disorders. When individual disorders are compared, the most common psychiatric disorder is "specific phobia" followed by "depression". Many a times, the question asked in exam does not have the option of either phobia or anxiety disorder, in that case the answer becomes depression.